Sweat glands are supplied by only:
1. Parasympathetic nerves
2. Sympathetic nerves
3. Sensory nerves
4. Motor nerves

Correct answer: 2. Sympathetic nerves